True about Cryptococcus neoformans is all EXCEPT
1. True yeast
2. Capsulated
3. Germ tube production
4. Can cause meningitis

Correct answer: 3. Germ tube production

Explanation: Ans. c (Germ tube production). (Textbook of Microbiology by Anantanarayan, 6th/574)Opportunistic fungal INFECTIONS:Cryptococcus neoformans# True yeast# Capsulated.# Not dimorphic.# Lack of fermentation# Ability to grow at 37degC# Ability to hydrolyse urea# Found in soil, pigeon droppings. Culture on Sabouraud's agar.# Stains with India ink prepartion (yeast cell stain positive with mucicarmine)# 4 serotypes (ABCD)# Latex agglutination test most useful (detects polysaccharide capsular antigen ).# Transmitted by inhalation, mucosal contact# Skin, pulmonary and meningeal infection and "Soap bubble" lesions in brainAspergillus fumigatusAllergic bronchopulmonary aspergillosis, lung cavity aspergilloma ("fungus ball"), invasive aspergillosis, especially in immunocompromised individuals and those with chronic granulomatous disease. Mold with septate hyphae that branch at a V-shaped (45deg) angle. Not dimorphic.Mucor and Rhizopus spp.Mold with irregular nonseptate hyphae branching at wide angles (> 90deg). Mucormycosis mostly in ketoacidotic diabetic and leukemics. Fungi also proliferate in the walls of blood vessels and cause infarction and necrosis. Rhinocerebral, frontal lobe abscesses.